Ticagrelor is
1. Cyclooxygenase inhibitors
2. Phosphodiesterase inhibitors
3. Glycoprotein IIB/IIIA inhibitors
4. P2Y12 receptor blocker

Correct answer: 4. P2Y12 receptor blocker

Explanation: Ticagrelor is a novel, potent, reversible platelet P2Y12 inhibitor. It is shown to reduce the risk of cardiovascular death, MI, or stroke compared with clopidogrel in ACS patients.This agent reduced mortality but increased the risk of bleeding.Other platelets P2Y12 receptor blocker are clopidogrel, prasugrel.Ref: Harrison 19e pg: 1596